Make the diagnosis of a 26 day old infant presenting with recurrent nonbilious vomiting with costipation and loss of wt-
1. Oesophageal atresia
2. Choledochal cyst
3. Heal atresia
4. Pyloric stenosis

Correct answer: 4. Pyloric stenosis